An acute inflammation would attract
1. Monocytes
2. Plasma cells
3. Neutrophils
4. Eosinophils

Correct answer: 3. Neutrophils